In CPR, number of chest compression per minute in an adult:
1. 30-50 per minute
2. 50-72 per minute
3. 100-120 per minute
4. 120-200 per minute

Correct answer: 3. 100-120 per minute

Explanation: Rate : 100-120/ minute Depth: Adult - 5-6 cm Pediatric - 4-5 cm Infants - Atleast 4 cm Allow complete recoil for proper filling of heaAdequate ventilation- avoid excessive ventilation